Which of the following is contributory factor for developing Cor-pulmonale in chronic bronchitis
1. Hypoxia
2. Hypercapnea
3. Acidosis
4. Alkalosis

Correct answer: 1. Hypoxia

Explanation: (Hypoxia) (1453-54-H17th)COR- PULMONALE - denotes RV hypertrophy and eventual failure resulting from pulmonary disease and the attendent hypoxia or from pulmonary vascular diseaseEssentials of Diagnosis - Cor pulmonale* Symptoms and sign of chronic bronchitis and pulmonary emphysema* Elevated JVP, Parasternal lift, edema, hepatomegaly ascites* ECG shows tall, peaked P waves (P- pulmonale) right axis deviation, and RVH* Chest radiograph : enlarged RV and PA* Echocardiogram or radionuclide angiography excludes primary LV dysfunctions